Blood supply of Hindgut ?
1. Coeliac trunk
2. Splenic artery
3. Superior mesenteric artery
4. Inferior mesenteric artery

Correct answer: 4. Inferior mesenteric artery

Explanation: Ans. is 'd' i.e., Inferior mesenteric arteryBlood supply of Gil' A. Celiac trunk - Foregut (stomach to where the bile duct enters the duodenum).Left gastric arterySplenic arteryLeft gastroepiploic arteryShort gastric arteryHepatic arteryRight gastric arteryRight and left hepatic arteryGastro-duodenal artery - right gastroepiploicSuperior pancreatico-duodenalB. Superior Mesentric Artery-Midgut (from where the bile duct enters the duodenum to 2/3 across the transverse colon)Inferior pancreatico-duodenal arteryMiddle colic arteryRight colic arteryIleo-colic arteryC. Inferior Mesentric Artery- Hindgut (from 2/3 across the transverse colon to the rectum)Left colic arterySigmoid arterySuperior rectal artery